Scope of family planning services include all of the following except
1. Screening for cervical cancer
2. Providing services for unmarried mothers
3. Screening for HIV infection
4. Providing adoption services

Correct answer: 3. Screening for HIV infection

Explanation: Scope of family planning services Family planning is not synonymous with birth control; it is more than mere birth control. A WHO Expert Committee { 1970) has stated that family planning includes in its purview:- (1) the proper spacing and limitation of births. {2) advice on sterility. {3) education for parenthood. (4) sex education. (5) screening for pathological conditions related to the reproductive system (e.g., cervical cancer). (6) genetic counselling. (7) premarital consultation and examination. {8) carrying out pregnancy tests. (9) marriage counselling. (10) the preparation of couples for the arrival of their first child. (11) providing services for unmarried mothers. (12) teaching home economics and nutrition. (13) providing adoption services. These activities vary from country to country according to national objectives and policies with regard to family planning. This is the modern concept of family planning. Ref: Park 25th edition Pgno : 542